Which peak on MR spectroscopy is seen in tuberculoma?
1. Lipid lactate
2. N-acetyl aspartate
3. Creatinine
4. Choline

Correct answer: 1. Lipid lactate

Explanation: MR-spectroscopy usually reveals a large lipid lactate peak at 0.9 to 1.33 ppm and reduced NAA. The lipid peak in tuberculoma is primarily due to the predominant lipid content in the cell wall of tubercle bacillus. Presence of lactate indicates anaerobic glycolysis and necrosis within the Tuberculoma. However, lipid lactate peak can also be seen in other conditions having necrosis like high grade gliomas .